Mini mental scale in Psychiatry Interview is
1. 20 point cognitive test
2. Psychiatric assessment
3. Dose routinely in psychiatric interview
4. 30 point cognitive test

Correct answer: 4. 30 point cognitive test

Explanation: Mini mental state examination The mini-mental state examination (MMSE) or Folstein test is a brief 30-point questionnaire test that is used to screen for cognitive impairmentUsed in medicine to screen for dementiaUsed to estimate the severity of cognitive impairment and to follow the course of cognitive changes in an individual over time, thus making it an effective way to document an individual's response to treatment.Test FeaturesCategoryPossible pointsDescriptionOrientation to time5From broadest to most narrow. Orientation to time has been correlated with future declineOrientation to place5From broadest to most narrow. This is sometimes narrowed down to streets, and sometimes to floorRegistration3Repeating named promptsAttention and calculation5Serial sevens, or spelling "world" backward. It has been suggested that serial sevens may be more appropriate in a population where English is not the first languageRecall3Registration recallLanguage2Naming a pencil and a watchRepetition1Speaking back a phraseComplex commands6Varies. Can involve drawing figure shown.(Refer: Kaplan and Sadock's Synopsis of Psychiatry, 10th edition,pg no:187)(Refer: Niraj Ahuja- A Short Textbook of Psychiatry, 20thedition, pg no:13)